Gene responsible for INH resistance is ?
1. KAT G
2. rpo B
3. pnc A
4. emb B

Correct answer: 1. KAT G

Explanation: Ans. is 'a' i.e., KAT G